Fatty change is seen in?
1. Brain
2. Kidney
3. Adrenal
4. Bladder

Correct answer: 2. Kidney

Explanation: * Fatty change is particularly common in the liver but may occur in other non - fatty tissues as well e.g. in the heart, skeletal muscle, kidneys (lipoid nephrosis or minimum change disease) and other organs.* Fatty change, steatosis or fatty metamorphosis is the intracellular accumulation of neutral fat within parenchymal cells.* It includes, now abandoned, terms of fatty degeneration and fatty infiltration because fatty change neither necessarily involves degeneration nor an infiltration. The deposit is in the cytosol and represents and absolute increase in the intracellular lipids.